Implantation occurs in which stage:
1. Morula
2. Zygote
3. Blastocyst
4. Blastomeres

Correct answer: 3. Blastocyst

Explanation: Ans. C i.e. BlastocystImplanatationImplantation is the very early stage of pregnancy at which the embryo adheres to the wall of theuterus.At this stage of prenatal development, the embryo is a blastocyst.It is by this adhesion that the fetus receives oxygen and nutrients from the mother to be able to grow.In humans, implantation of a fertilized ovum is most likely to occur about 9 days after ovulation, ranging between 6 to 12 days